A 24 year old male patient with h/o primary syphilis in the form of genital ulcer & mucocutaneous lesions, presents with features suggestive of neurosyphilis in the form of meningitis for which appropriate treatment was started. What will you do for monitoring of treatment
1. Venereal disease Research Laboratory test (VDRL)
2. TPI
3. FTS-AB
4. ELISA

Correct answer: 1. Venereal disease Research Laboratory test (VDRL)

Explanation: The nontreponemal cerebrospinal fluid (CSF) Venereal Disease Research Laboratory (VDRL) test is a mainstay for diagnosis of neurosyphilis. Although the estimated specificity of the test is high, the sensitivity is lower, which is a major limitation of the test Ref Harrison20th edition pg 2345